The local anesthetic which has sympathomimetic property is:
1. Procaine
2. Lidocaine
3. Cocaine
4. Tetracaine

Correct answer: 3. Cocaine